A patient of endogenous depression was prescribed imipramine. After what duration of the time interval is the therapeutic effect of imipramine likely to manifest?
1. Three days
2. One week
3. Three weeks
4. Three months

Correct answer: 3. Three weeks